Mechanism of action of vincristine in the treatment of all is
1. Inhibition of topoisomerse II to cause breaks in DNA standards
2. Alkylation and cross linking DNA standards
3. Inhibition of DNA mediated RNA synthesis
4. Inhibition of polymerization of tubulin to form microtubes

Correct answer: 4. Inhibition of polymerization of tubulin to form microtubes

Explanation: Ref-KDT 6/e 824,825 Vincristine is a chemotherapy drug that belongs to a group of drugs called vinca alkaloids. Vincristine works by stopping the cancer cells from separating into 2 new cells. So, it stops the growth of the cancer by polymerization